All the following statements regarding postpartum thyroiditis are true, EXCEPT:
1. Hyperthyroidism may be present in the first 3 months after delivery
2. Hypothyroidism may be present a few months after delivery
3. Thyroid function may be normal after 1 year
4. The risk of recurrence in subsequent pregnancy is < 10%

Correct answer: 4. The risk of recurrence in subsequent pregnancy is < 10%

Explanation: Postpartum thyroiditis has an autoimmune aetiology. It is associated with lymphocytic infiltration, follicular destruction and hyperplasia. It has 3 phases. Thyrotoxicosis occur in the first 1-3 months. This may be followed by hypothyroidism from 3-8 months postpartum. By one year the thyroid function may become normal. There is a 70% chance of recurrence in the next pregnancy. Ref: Essential revision notes for MRCP by Philip A Kalra, Edition 3, Page - 305